If the prevalene is very low as compared to the incidence for a disease, it implies -
1. Disease is very fatal and/or easily curable
2. Disease is nonfatal
3. Calculation of prevalence and incidence is wrong
4. Nothing can be said, as they are independent

Correct answer: 1. Disease is very fatal and/or easily curable

Explanation: Prevalence is less than incidence
1) Disease is very fatal

Most of the cases die, so at the time of calculating prevalence the number is usually less than the incidence.

2) Disease is very well curable either by rapid recovery or by treatment

Most of the cases recover, so at the time of calculating prevalence the number is usually less than incidence.

Prevalence is more than incidence
1) Disease is not fatal but very chronic

Due to increased duration, prevalence increases

2) Treatment prevent death but does not cure

Due to increased duration, prevalence increases.